Medical therapy can be tried in gallstone patients with:
1. Contracted and small non functioning gallbladder
2. Radiolucent gallstones
3. Gallstones of size < 30 mm in diameter
4. Gallstone pancreatitis

Correct answer: 2. Radiolucent gallstones

Explanation: Ursodeoxycholic acid (UDCA) decreases cholesterol saturation of bile. In carefully selected patients with functioning gallbladder and with radiolucent stones <10 mm in diameter, complete dissolution with UDCA can be achieved in 50% of patients within 6 months to 2 years. Reference: Harrisons Principles of Internal Medicine, 18th Edition, Page 2621